Papilledema - 1st clinical sign is ?
1. Bulging of disc
2. Hyperemia of disc
3. Myopia
4. Obscuration of disc margins

Correct answer: 4. Obscuration of disc margins

Explanation: Ans. is 'd' i.e., Obscuration of disc margins Ophthalmoscopic signs of papilloedema Blurring of disc margin (first sign) Venous :- Engorgment, congestion, loss of pulsation Hyperemia of the disc with capillary dilatation. Filling of physiological cup with gradual obliteration of physiological cup. Gradual elvetion of disc (mushroom or dome shaped) with sharp bending of vessels over its margins. Cotton- wool spots (soft exudates) and both flame shaped (superficial) and punctate (deep) hemorrhages Macular fan or macular star due to hard exudates. Late findings in long standing (vintage) papilloedema :- Markedly elevated disc with champagne cork appearance, post neuritic optic atrophy,corpora amylacea deposits on disc margin, generalized retinal pigmentation.